the aim of the first session with a child patient is to all
except
1. Establish general communication with the patient and parents
2. Start restorative procedures
3. Obtain background information of child
4. Take radiographs

Correct answer: 2. Start restorative procedures